The degradation of intracellular organelles through the process in which autosomes combine with primary Lysosomes of the cells is called as?
1. Heterophagy
2. Heteroplasmy
3. Autophagy
4. Endocytosis

Correct answer: 3. Autophagy

Explanation: Eating the own contents of cell is called as autophagy.